Juvenile is a girl who has NOT attained the age of:
1. 12 years
2. 14 years
3. 16 years
4. 18 years

Correct answer: 4. 18 years

Explanation: Ans. D i.e. 18 years